Specific disease caused by vitamin B1 deficiency:
1. Pellagra
2. Angular cheilitis
3. Megaloblastic anemia
4. Peripheral polyneuritis

Correct answer: 4. Peripheral polyneuritis